A woman is exposed to a case of chicken pox 2 days back at 14 weeks of gestation. She does not give history of chicken pox in the Past. What is the next step?
1. Administer varicella vaccine
2. Administer varicella Immunoglobulin
3. Administer varicella Immunoglobulin and vaccine
4. Test mother for antibodies against varicella

Correct answer: 4. Test mother for antibodies against varicella

Explanation: Ans. D. Test mother for antibodies against varicellaIf the pregnant woman has antibodies against varicella, then she is immune and needs no further treatment.Exposed pregnant women who are susceptible to varicella, should be given varicella Ig within 96 hrs of exposure to prevent or attenuate varicella infection.